Ezetimibe acts by
1. Enhancing excretion of bile acids
2. Decreasing absorption of cholesterol
3. Inhibiting HMG CoA reductase
4. Inhibiting intracellular lipase

Correct answer: 2. Decreasing absorption of cholesterol

Explanation: Refer kDT 6/e p 618 Ezetimibe is an intestinal cholesterol absorption inhibits and is combined with statins